Stellate ganglion is seen in?
1. Cerebellum
2. Mid brain
3. Medulla oblongata
4. Near lower cervical spine

Correct answer: 4. Near lower cervical spine

Explanation: Ans. is 'd' i.e., Near lower cervical spine[Ry' Gray's 38h/e p. 13031The stellate ganglion (or cervicothoracic ganglion) is a sympathetic ganglion formed by the fusion of the inferior cervical ganglion and the first thoracic ganglion.Stellate ganglion is located at the level of C7, anterior to the transverse process of C7 and the neck of the first rib, superior to the cervical pleura and just below thc subclavian artery.